Dawson's fingers on MRI are diagnostic of -
1. Hyperparathyrodism
2. Psoriatic arthropathy
3. Multiple sclerosis
4. Multiple exostosis

Correct answer: 3. Multiple sclerosis

Explanation: Ans. is 'c' i.e., Multiple sclerosis o Dawson fingers are a radiographic feature depicting demyelinating plaques through the corpus callosum, arranged at right angles along medullary veins (callososeptal location).o They are a relatively specific sign for multiple sclerosis (MS), which presents as T2 hyperintensities)